Most Common cause of subarachnoid hemorrhage is:
1. Rupture of bridging veins
2. Saccular aneurysm rupture
3. Hypertension
4. Idiopathic

Correct answer: 2. Saccular aneurysm rupture

Explanation: Ans. B: Saccular aneurysm rupture Excluding head trauma, the most common cause of subarachnoid hemorrhage (SAH) is hemorrhage from an intracranial aneurysm. Other causes include vascular malformations, tumors, and infection. The management of aneurysmal SAH has changed due to superiority of early surgery for clipping of ruptured aneurysms. This superiority derives from the relative safety of early aneurysm surgery and the major threat of early rebleeding (approximately 25% in three weeks after SAH).